Which is included in telencephalon?
1. Cerebrum
2. Thalamus
3. Hypothalamus
4. Sunstantia Niagra

Correct answer: 1. Cerebrum

Explanation: Ans. is 'a' i.e., Cerebrum Part of brainSubdivisionsCavity* Forebrain (Prosencephalon)* Telencephalon (cerebrum)Cerebral hemisphere* Dencephalon (thalamencephalon) Thalamus, hypothalamus, metathalamus (including medial and lateral genialate bodies), epithalamus, sunthalamus.Lateral ventricle Third ventricle* Midbrain (Mesencephalon)Crus cerebri, substantia nigra, tegmentum and tectumCerebral aqueduct* Hindbrain (rhombencephalon)* Metencephalon pons, cerebellum* MylencephalonmedullaFourth ventricle